Osteomeatal complex(OMC) connects:
1. Nasal cavity with maxillary sinus
2. Nasal cavity with sphenoid sinus
3. The two nasal cavities
4. Ethmoidal sinus with ethmoidal bulla

Correct answer: 1. Nasal cavity with maxillary sinus

Explanation: Osteomeatal complex lies in the middle meatus. It is final common drainage pathway for the maxillary,frontal,and anterior ethmoid sinuses into the nasal cavity. Ref.Scott Brown 7/e,Vol 2 p 1345